HPV (Human papilloma virus) vaccine is the following type:
1. Monovalent
2. Bivalent
3. Quadrivalent
4. Bivalent and Quadrivalent

Correct answer: 4. Bivalent and Quadrivalent

Explanation: To date, one quadrivalent product containing HPV types 6, 11, 16, and 18 and one bivalent product containing HPV types 16 and 18 have been licensed. HPV types 6 and 11 cause 90% of anogenital was, whereas types 16 and 18 are responsible for 70% of cervical cancers. Both vaccines are highly immunogenic, as measured by serum antibody titers after vaccination. Ref: Longo D.L., Fauci A.S., Kasper D.L., Hauser S.L., Jameson J.L., Loscalzo J. (2012). Chapter 185. Human Papillomavirus Infections. In D.L. Longo, A.S. Fauci, D.L. Kasper, S.L. Hauser, J.L. Jameson, J. Loscalzo (Eds), Harrison's Principles of Internal Medicine, 18e.